The percentage of unconsumed alloy in low copper amalgams is:
1. 20
2. 9.2
3. 8.8
4. 10

Correct answer: 3. 8.8